Most common extraocular muscle involved in Grave's disease
1. Superior rectus
2. Inferior rectus
3. Medial rectus
4. Superior oblique

Correct answer: 2. Inferior rectus

Explanation: IR > MR > SR > LR > obliques.